All are TRUE about the clinical features of polycythemia rubra vera, EXCEPT:
1. Hepatomegaly is the initial presenting sign
2. Aquagenic pruritus present
3. Vertigo, tinnitus, headache and visual disturbances are due to hyperviscosity
4. Systolic hypertension is a feature of increased red cell mass

Correct answer: 1. Hepatomegaly is the initial presenting sign

Explanation: Polycythemia rubra vera clinical features: Splenomegaly may be the initial presenting sign Aquagenic pruritus Hyperviscosity leads to vertigo, tinnitus, headache, visual disturbances, and transient ischemic attacks (TIAs). Systolic hypertension is due to red cell mass elevation. Venous or arterial thrombosis may be the presenting manifestation of PV. Erythromelalgia, is a complication of the thrombocytosis Hyperuricemia with secondary gout, uric acid stones, and symptoms due to hypermetabolism can also complicate the disorder. Ref: Harrison, E-18, P-899